Scrub typhus is caused by -
1. R typhi
2. R Akari
3. R prowazekii
4. R tsutsugamushi

Correct answer: 4. R tsutsugamushi

Explanation: Ans. is 'd' i.e., R tsutsugamushi o Has been explained in previous years